All are alkylating agents except
1. 5 flurouracil
2. Melphalan
3. Cycloohosphamide
4. Chlorambucil

Correct answer: 1. 5 flurouracil

Explanation: Refer Katzung 11/e p945 5 flurouracil is an Antimetabolite whereas Melphalan Cyclophosphamide .chlorambucil These are alkylating agents